Deep transverse arrest is seen in all except
1. Android pelvis
2. Epidural analgesia
3. Transverse lie
4. Uterine inertia

Correct answer: 3. Transverse lie

Explanation: Causes of deep transverse arrest Android pelvis Depression of head Weak uterine contractions Laxity of pelvic floor muscles